Failure of OCP is caused by
1. Rifampicin
2. Nevirapine
3. Phenytoin
4. AH of the above

Correct answer: 4. AH of the above

Explanation: Ans-D A clinical guide to Contraception Leon speroffDrugs causing failure of OCPRifampicinRifabutinPhenytoinNevirapinePhenobarbitoneTopiramateVigabatrinCarbamazepineEthosuximideGriseofulvin